Most aggressive type of Basal cell carcinoma:
1. Nodular
2. Granular.
3. Micronodular.
4. Morpheaform.

Correct answer: 4. Morpheaform.